All the following are indications for brain imaging in epilepsy, except -
1. Epilepsy starts after the age of 5 years
2. Seizures have focal features clinical
3. EEG shows a focal seizure source
4. Control of seizures is difficult

Correct answer: 1. Epilepsy starts after the age of 5 years